Most common presentation of extra-pulmonary TB -
1. Tubercular lymphadenitis
2. Peritoneal TB
3. Pericardial TB
4. Tubercular meningitis

Correct answer: 1. Tubercular lymphadenitis

Explanation: Ans. is 'a' i.e., Tubercular lymphadenitis o The most common presentation of extra-pulmonary TB in both HIV sero-negative and HIV-infected patients to about 35% in eeneral. Ivmph node disease is particularly frequent among HIV infected patients and in children.o Lymph node TB presents as# Painless swelling of the lymph nodes, most commonly at posterior cervical and supraclavicular sites.# Lymph nodes are usually discrete in early disease but de\!elop into a matted non tender mass over time and may residt in a fistulous tract draining caseous material.Type of TBIncidenceTB lymphadenitis40%Genitourinary TB10-15%Skeletal TB10%CNS TB5%Gastrointestinal TB3,5%Pericardial TB0.5% (mainly in HIV positive patients with Case fatality of 40%)